The unique property of SERMs is that they:
1. Have both estrogenic and progestational agonistic activity
2. Inhibits the aromatase enzyme that is required for estrogen synthesis
3. Produces estrogenic effect without binding to estrogen receptors
4. Act as agonist in some tissues and antagonist in other tissues

Correct answer: 4. Act as agonist in some tissues and antagonist in other tissues